All of the following are features of obstructed labour, except :
1. Hot dry vagina
2. Bandl's Ring
3. Unruptured membranes present
4. Tonic contracted uterus

Correct answer: 3. Unruptured membranes present

Explanation: Unruptured membranes present